True about Choledochal cyst is
1. Always extrahepatic
2. Treatment is cystojejunostomy
3. Excision is ideal treatment
4. Drainage is treatment of choice

Correct answer: 3. Excision is ideal treatment

Explanation: Option A: it can be both intrahepatic and extrahepatic Option B: Treatment of choice is Roux-en-Y hepaticojejunostomy Option D: Drainage is not done Option C: Roux-en-Y hepaticojejunostomy Is the treatment of choice. So Excision of Choledochal cyst is the right answer Ref: Sabiston 20th edition Pgno :1512-1514